The chromosomal complement of a primary oocyte is :
1. 23X
2. 23Y
3. 44XX
4. 44XY

Correct answer: 3. 44XX

Explanation: 44XX